Which of the following is not a major function of the endoplasmic reticulum (ER)?
1. Synthesis of lipids
2. Synthesis of proteins
3. Providing enzymes that control glycogen breakdown
4. Secretion of proteins synthesized in the cell

Correct answer: 4. Secretion of proteins synthesized in the cell

Explanation: Proteins and lipids are formed on the ER and then passed on to the Golgi apparatus, where they are further processed before being released into the cytoplasm, where they can be used in the cell or secreted. The ER does not secrete proteins and lipids from the cell. The ER also provides enzymes that control glycogen breakdown and help to detoxify substances such as drugs that could damage the cell.